All are seen in acute HIV syndrome Except
1. Pneumonia
2. Lymphadenopathy
3. Myelopathy
4. Encephalitis

Correct answer: 1. Pneumonia

Explanation: Clinical findings in HIV syndromeGeneralNeurologicDermatologic1. Fever2. Pharyngitis3. Lymphadenopathy4. Headache/Retroorbital pain5. Arthralgias/myalgias6. Lethargy/Malaise7. Anorexia/Weight loss8. Nausea/Vomiting/Diarrhea1. Meningitis2. Encephalitis3. Peripheral neuropathy4. Myelopathy1. Erythematous maculopapular rash2. Mucocutaneous ulcerationReference: Harrison's Principles of Internal Medicine; 19th edition; Chapter 226; Human Immunodeficiency virus disease: AIds and Related Disorders